Morbid jealousy is associated with
1. alcohol
2. heroun
3. cannabis
4. LSD

Correct answer: 1. alcohol

Explanation: * JEALOUS TYPE of delusional disorder o ALSO KNOWN AS Conjugal paranoia * Othello syndrome * Marked jealousy * Pathological jealousy * Morbid jealousy o It is more common among alcoholic males ,the possible explanation that is given is alcoholic males have sexual dysfunction and that these women may start suspecting their spouses. REf.Kaplon and Sadock, synopsis of psychiatry, 11 th edition, pg No.330